Grain elongation is due to
1. Cold working
2. Recrystallisation
3. Recovery
4. Age hardening

Correct answer: 1. Cold working

Explanation: The average grain size of the recrystallized structure depends on the initial number of nuclei. The more severe the degree of cold working, the greater is the number of such nuclei. The grain size for the recrystallized metal can range from rather relatively fine to fairly coarse.
Phillips 12th edition page no 405